Investigation of choice for acute osteomyelitis?
1. CT Scan
2. MRI
3. Bone Scan
4. PET

Correct answer: 2. MRI

Explanation: MRI is the investigation of choice for Acute Osteomyelitis MRI is the Investigation Of Choice For evaluating Bone Marrow pathologies Avascular Necrosis of the femur Perthes disease Ankylosing Spondylitis Stress fracture Figure: MRI showed advanced osteomyelitis of the distal femur with a central bone sequestrum and septic arthritis of the knee joint.